Which of the following is NOT a feature of oculomotor nerve palsy?
1. Mydriasis
2. Absent pupillary reflex
3. Proptosis
4. Ptosis

Correct answer: 3. Proptosis

Explanation: Clinical features of occulomotor (3rd nerve) palsy - Drooping of lids-Ptosis Deviation of eye lid-Down and Out (as LR6 and SO4 remains intact ) Diplopia Dilatation of pupil (as paarsympthetic supply to sphincter pupillae is affected)-Mydriasis Absent pupillary light reflex as it carries ipsilateral efferent direct ligt reflex+contralateral efferent indirect light reflex. Mstly seen in uncontrolled BP/ HTN